Placental enlargement is seen in which of the following infections except?
1. Toxoplasma
2. CMV
3. Parvovirus
4. Plasmodium

Correct answer: 4. Plasmodium

Explanation: Ans. D.PlasmodiumMaternalMaternal diabetesRh incompatibilityAnemiaChronic intrauterine infection: TORCH (Toxoplasmosis, rubella, CMV, herpes), syphilis, VZV, Parvovirus B-19.Alpha - thalassemiaFetalHigh output heart failureUmbilical vein obstructionHydrops fetalis (all causes)Sacrococcygeal teratomaBeckwith - Wiedemann syndromePlacental :Choriocarcinoma, Hemorrhage, hydatidiform moleFinnish type nephrotic syndrome